Lungs are preserved in -
1. Alcohol poisoning
2. HCN poisoning
3. Carbon monoxide poisoning
4. All of the above

Correct answer: 4. All of the above

Explanation: Lung is preserved in gaseous poison (e.g. CO), alcohol, chloroform and cyanide (HCN) poisoning.